28 year old male met with an accident and sustained severe crush injury. He is most likely develop -
1. Acute renal failure
2. Hypophosphatemia
3. Hypercalcemia
4. Acute myocardial infarction

Correct answer: 1. Acute renal failure

Explanation: Severe crush injury results in rhabdomyolysis(breakdown of muscle tissue -myoglobin is released into blood, damaging the kidneys. ) Other causes of rhabdomyolysis Muscle ischemia Immobilisation Prolonged seizure activity Excessive exercise ,heat stroke or malignant hyperthermia,myopathies,infections Metabolic disorders (severe hypothyroidism, hypophosphatemia) Ref:HARRISON 20 th edition pg no. 2103